Unilateral hypertranslucent hemithorax on chest X-ray is seen in:
1. Bronchial asthma
2. Fallot's tetralogy
3. Pulmonary hypertension
4. Poliomyelitis

Correct answer: 4. Poliomyelitis

Explanation: Ans. Poliomyelitis